Tubular maximum for glucose is:
1. 180 mg/dl
2. 325 mg/min
3. 375 mg/min
4. 375 mg/dl

Correct answer: 3. 375 mg/min

Explanation: Glucose  is  typical  of  substances  removed from the urine by secondary active transport. It is filtered at a rate of approximately 100 mg/min (80 mg/dL of plasma × 125 mL/min). Essentially all of the glucose is reabsorbed, and no more than a few milligrams appear in the urine per 24 h. The amount reabsorbed is proportional to the amount filtered and hence to the plasma glucose level (PG) times the GFR up to the transport maximum (TmG ). When the TmG  is exceeded, the amount of glucose in the urine rises. The TmG is about 375 mg/min in men and 300 mg/min in women.
Reference: Ganong’s Review of Medical Physiology T W E N T Y - F I F T H   E D I T I O N page no 680